Mc ewan sign occurs above how much mg% of blood alcohol level
1. 150 mg%
2. 200 mg%
3. 300 mg%
4. 400 mg%

Correct answer: 3. 300 mg%

Explanation: Mc ewan sign occurs above 300 mg% of blood alcohol level. Stage of Excitement (Blood level: 50-150 mg%) Person will be euphoric (sense of well-being). Actions, speech and emotions are less restrained due to lowering of the inhibition normally exercised by the higher centers of the brain. It alters time and space perception. He may perform dancing, thrilling shows, carelessly and fearlessly. He might disclose secrets ('in vino veritas'--in wine there is truth). There is lowering of visual acuity. Nystagmus present. Mental concentration is poor and judgment impaired ii. Stage of In-coordination (Blood level: 150-250 mg%) Due to further depression of higher centers, the person may be morose/cheerful/irritable/ ill-tempered/excitable/sleepy, depending on the dominant impulses released. Breath smells of alcohol. Pupils are dilated and react sluggishly to light. iii. Stage of Coma (Blood level > 250 mg%) Thick, slurred speech. Coordination is markedly affected--becomes giddy, stagger and fall. Pupils are contracted, but on stimulation of the person, e.g. by pinching or slapping causes them to dilate with slow return (McEwan's sign).